Which of the following is the action of the lateral pterygoid muscle on the temporomandibular joint?
1. Elevation
2. Depression
3. Adduction
4. Abduction

Correct answer: 2. Depression

Explanation: Depression of the mandible or opening of the mouth is produced mainly by the lateral pterygoid helped by gravity.Elevation is produced by the medial pterygoid, temporalis and masseter.Reference: Textbook of anatomy, Head Neck, and Brain, Vishram Singh, 2nd edition, page no.148